All of the following are true for sarcoidosis except:
1. Kveim test is the most specific test for sarcoidosis
2. Caseating epithelioid granulomas
3. Most commonly involves lungs
4. Unknown etiology

Correct answer: 2. Caseating epithelioid granulomas

Explanation: Ans. B: Caseating epithelioid granulomasAlthough Jonathan Hutchinson described the first case in 1869, the etiology of the disease is still unknown.The disease most commonly involves granuloma formation in the lungs. Other commonly involved organ systems include the lymph nodes (especially the intrathoracic nodes); the skin; the eyes; the liver; the heart; and the nervous, musculoskeletal, renal, and endocrine systems.Sarcoidosis is characterized by noncaseating epithelioid granulomas that may affect any organ system.Kveim test is the most specific test for sarcoidosis. The Kveim test involves intradermal injection of tissue from the spleen or the lymph node of a patient with sarcoidosis. A biopsy sample is obtained from the area 4-6 weeks after injection, and it is histologically examined for noncaseating granuloma formation, which, if found, indicates a positive result.